The trigeminal ganglion is
1. A motor and sensory ganglion of trigeminal nerve
2. Made up of unipolar and bipolar cells
3. Homologous with the dorsal root ganglion
4. Receives the motor root at its posterior concavity

Correct answer: 3. Homologous with the dorsal root ganglion